Wound strength of healing is provided by
1. Collagen fibres
2. Blood supply
3. Growth factors
4. Hormones

Correct answer: 1. Collagen fibres

Explanation: Type 1 collagen fibres have high tensile strength.